Koenen's tumor is seen in
1. Ichthyosis
2. Tuberous sclerosis
3. Neurofibromatosis
4. Sturge weber syndrome

Correct answer: 2. Tuberous sclerosis

Explanation: Ans- B. Periungual fibromas (Koenen's tumors):- Present in 20% of patients of tuberous sclerosis. Develop in adult life. o Small, pink, sausage-shaped growths arising from under the nail folds; may distort the nail plate.